Deformity seen in posterior elbow dislocation is ?
1. Flexion
2. Extension
3. medial deviation
4. lateral deviation of elbow

Correct answer: 1. Flexion

Explanation: In posterior elbow dislocation, elbow is flexed with exaggerated prominence of olecranon Refer clinical orthopedic p 786